Which of the following mechanisms is not responsible for complications in DM
1. Non enzymatic glycosylation
2. Protein Kinase C activation
3. Disturbance in polyol pathway
4. Chronic inflammation

Correct answer: 4. Chronic inflammation

Explanation: The things responsible for chronic complications of DM are 1)Formation of Advanced glucation end products 2) Activation of Protein Kinase C 3)Oxidative stress and disturbance in Polyol pathways . Possible complications include: Cardiovascular disease. ... Nerve damage (neuropathy). ... Kidney damage (nephropathy). ... Eye damage (retinopathy). ... Foot damage. ... Skin conditions. ... Hearing impairment. ... Alzheimer's disease Ref: Robbins and cotrans 9e Pg 1116